Cerebellar toxicity is seen with
1. Cisplatin
2. Cytarabine
3. Bleomycin
4. Actinomycin D

Correct answer: 2. Cytarabine

Explanation: Refer Katzung 11/e p945 Cytarabine causes cerebellar ataxia